Not an enrichment medium ?
1. Selenite F broth
2. Tetrathionate broth
3. Alkaline peptone water
4. Loeffler's serum

Correct answer: 4. Loeffler's serum

Explanation: Ans. is `d' i.e., Loeffler's serum